Average hospital waste produced per bed per day in Government hospital -
1. 1-5-2-0 kg
2. 0-5-4 kg
3. 0-5-1 kg
4. 0-5-2 kg

Correct answer: 2. 0-5-4 kg

Explanation: Ans. is 'b' i.e., 0.5-4 kg